' Angry sun appearance ' in fundoscopy seen in
1. Primary optic atrophy
2. Papilledema
3. Papillitis
4. Drusen's rings

Correct answer: 2. Papilledema

Explanation: Angry sun appearance &; in fundoscopy is a feature of -papilloedema. Ref AK khurana 6/e